Increased 'anion gap' is not seen in -
1. Salicylate poisoning
2. Renal tubular acidosis
3. Lactic acidosis
4. Ethylene glycol poisoning

Correct answer: 2. Renal tubular acidosis

Explanation: Causes of High-Anion Gap Metabolic Acidosis *Lactic acidosis *Ketoacidosis Diabetic Alcoholic Starvation *Renal failure (acute and chronic) *toxins: ethylene glycol methanol salicylates propylene glycol pyroglutamic acid (Ref: Harrison's principles of internal medicine,18E , pg 365)